Which of the following is seen in Vitamin D deficiency -a) Increased alkaline phosphataseb) Decreased phosphate in urinec) Hypophosphatemiad) Decreased alkaline phosphatasee) Decreased serum calcium
1. acd
2. ace
3. cde
4. ade

Correct answer: 2. ace